A woman presenting with abrupt onset of "The Worst headache of her life". Which is the best investigation?
1. NCCT of the head
2. Vessel carotid Doppler
3. No imaging
4. MRI

Correct answer: 1. NCCT of the head

Explanation: MCC of subarachnoid hemorrhage is: TRAUMA- MCC of spontaneous SAH is due to rupture of BERRY ANEURYSM- Classical complaint pts come with is "THUNDER CLAP HEADACHE or WORST HEADACHE IN LIFE"- IOC for Acute SAH is NCCT- IOC for Chronic SAH is MRI.- IOC to know the cause of SAH is 4 VESSEL ANGIOGRAPHY- for that catheterize 2 ICA and Left Vertebral artery. Shows Hyperdensity in Sylvian fissure Basal cisterns Sulcal Spaces Anterior interhemispheric area